Thiopentone is contraindicated in
1. Narcoanalysis
2. Neurosurgery
3. Acute intermittent porphyria
4. Induction of anaesthesia

Correct answer: 3. Acute intermittent porphyria

Explanation: Being an enzyme inducer (ALA synthetase)  thiopentone precipitates porphyria.